A 42 year old patient comes with obesity, glucose intolerance, hypertension, alkalosis and proximal myopathy. Her ACTH levels did not drop after giving steroids. What is the diagnosis
1. ACTH producing tumor
2. Pituitary adenoma
3. Steroid supplementation
4. Adrenal tumor

Correct answer: 1. ACTH producing tumor

Explanation: In pituitary adenoma AC TH levels decrease after steroids
In adrenal tumor ACTH levels are not increased.